Case finidng in RNTCP is based on -
1. Sputum culture
2. Sputum microscopy
3. X-ray chest
4. Mantoux test \/ PCR

Correct answer: 2. Sputum microscopy

Explanation: - the case finding tool in RNTCP is based on sputum examination. - sputum smear examination by direct microscopy is now considered the method of choice. Reference : Park's textbook of preventive and social medicine, 23rd edition, pg no:429